Hypersensitivity vasculitis most commonly involves:
1. Arterioles
2. Post-capillary venules
3. Capillaries
4. Medium sized arteries

Correct answer: 2. Post-capillary venules

Explanation: Post capillary venules are the most commonly involved vessels; capillaries and arterioles may be involved less frequently.